Bullet is picked up with :
1. Toothed forceps
2. Hands
3. Scissors
4. Needle

Correct answer: 2. Hands

Explanation: B i.e. Hands